A man having multiple, painful, indurated,undermined,sloughed,edged glans which occurred 5 days exposures;most likely dignosis is-
1. Chancroid
2. Primary chancre
3. Herpes genitalis
4. LGV

Correct answer: 1. Chancroid

Explanation: Chancroid is caused by Hemophilus ducreyi and it's incubation period is 3-5 days. It causes multiple, superficial, tender, soft , ragged ulcers which bleeds on manipulation. These ulcers ate located in the genitals. In syphilis the incubation period is 9-90 days. From illustrated synopsis of dermatology and sexually transmitted diseases neena khanna 5th edition page no 327